Most fatal amoebic encephalitis is caused by ?
1. E.histolytica
2. Naeglaria
3. E. dispar
4. Acanthamoeba

Correct answer: 2. Naeglaria

Explanation: Ans. is 'b' i.e., Naeglaria . Amongst the given options Naeglaria and Acanthamoeba cause amoebic encephalitis. " The prognosis of Naeglaria encephalitis is uniformaly poor, most patients die within a week."---Harrison "Acanthamoeba encephalitis follows a more indolent course."----- Harrison . So, amongst the given options Naeglaria causes most fatal amoebic encephalitis .